BETA-blockers are used in all, EXCEPT
1. Hypertension
2. Thyrotoxicosis
3. Variant angina
4. All of the above

Correct answer: 3. Variant angina

Explanation: Ans. is 'c' i.e., Variant angina [Ref: K.D.T. 5th/e page 127\We all know that attacks of variant angina occur due to coronary vasospasm.So, the drugs which relieve coronary vasospasms will used in variant angina (C.C.B.'S, Nitrates) b blockers are contraindicated in these patients because b blockers, instead of dilating the coronary arteries constrict the coronary arteries (due to unopposed a mediated constriction).Remember, b blockers are useful in classical angina. (They cause favourable redistribution of blood)Uses of b blocker: -HypertensionCardiac arrhythmiasMyocardial infarctionEssential tremorCHFGlaucomaDissecting aneurysmHOCMPheochromocytomaThyrotoxicosisAngina pectoris (classical)MigraineAnxiety